The commonest location for the carcinoid tumor is which of the following?
1. Small intestine
2. Bronchus
3. Appendix
4. Stomach

Correct answer: 1. Small intestine

Explanation: Carcinoid tumor:- Neuroendocrine tumor, most common site being GIT and Lungs being 2nd most common In GIT, most common site is small intestine Composed of cells that contains dense-core neurosecretory granules in their cytoplasm.